Not gluconeogenic-
1. Acetyl CoA
2. Lactate
3. Glycerol
4. Alanine

Correct answer: 1. Acetyl CoA

Explanation: Ans. is 'a' i.e., Acetyl CoA o Substrates for gluconeogenesis are lactate (lactic acid), pyruvate, glycerol, glucogenic amino acids (alt amino acids except leucine and lycine), propionate and intermediates of citric acid cycle..